Organ of rosenmullar is remnant of
1. Endodermal sinus
2. Mulleria duct
3. Mesonerphric tuble
4. Paramesonephric duct

Correct answer: 3. Mesonerphric tuble

Explanation: The epoophoron or epoophoron (also called organ of Rosenmuller or the parovarium) is a remnant of the mesonephric tubules that can be found next to the ovary and fallopian tube